Movement is socio-economic level is
1. Social equality
2. Social mobilization
3. Socio-economic upliftment
4. Social mobility

Correct answer: 4. Social mobility